The premalignant skin lesions are all except ?
1. Bowen's disease
2. Actinic keratoses
3. DLE
4. Miliaria

Correct answer: 4. Miliaria

Explanation: Ans. is `d' i.e., Miliaria